Which of the following drugs in habit platelet cyclooxygenase reversibly
1. Alprostadil
2. Aspirin
3. Ibuprofen
4. Predinisolone

Correct answer: 3. Ibuprofen

Explanation: Alprostadil(PGE1) and predinasolone do not inhibit cause enzyme virus transparent is an Irreversible inhibitor of this enzyme